Dural tail sign is high suggestive of
1. Meningioma
2. Metastases
3. Glioma
4. Acoustic neuroma

Correct answer: 1. Meningioma

Explanation: Dural tail sign - highly s/o meningioma.
Other lesions are metastasis, glioma, acoustic neuroma, sarcoidosis.